Surface ectoderm forms:
1. Lens of eye
2. Retina
3. Iris
4. Corneal stroma

Correct answer: 1. Lens of eye

Explanation: Ans. (a) Lens of eyeRef: A.K. Khurana 6th ed. /12; Khurana 4th ed/ 10Surface EctodermNeural EctodermMesodermNeural Crest* Conjunctival Epithelium* Corneal Epithelium* Lacrimal gland* Tarsal gland* Lens* Smooth muscle of Iris* Iris Epithelium* Ciliary Epithelium* Retina & its pigment epithelium* Optic nerve fibre* Part of vitrous* EOM* Sclera* Iris* Vascular endothelium* Choroid* Part of vitrous* Corneal stroma* Ciliary ganglion* Schwann cell* Uveal and conj melanocytes* Meningeal sheath of ON* Part of vitrous